Laryngofissure is :
1. Opening the larynx in midline
2. Making window in thyroid cartilage
3. Removal of arytenoids
4. Removal of epiglottis

Correct answer: 1. Opening the larynx in midline

Explanation: Laryngofissure is defined in as follows: "The operation of opening the larynx by a median incision through the thyroid cartilage with the formation of a wide window: for the removal of cancer of the larynx; median laryngotomy." This operation is an extremely useful and practical tool in the practice of the laryngologist. However, its applicability has certain limitations; if these are disregarded, its use may be hazardous to the continued well-being of the patient.